All of the following conditions have Autosomal Dominant Inheritance except
1. Fabry disease
2. Marfan's syndrome
3. Osteogenesis imperfecta
4. Ehlers Danlos syndrome

Correct answer: 1. Fabry disease

Explanation: Fabry disease is an X-linked lysosomal disorder that leads to excessive deposition of neutral glycosphingolipids in the vascular endothelium of several organs and in epithelial and smooth muscle cells. Progressive endothelial accumulation of glycosphingolipids accounts for the associated clinical abnormalities of skin, eye, kidney, heart, brain, and peripheral nervous system. Reference: GHAI Essential pediatrics, 8th edition